Catecholamines are synthesized from
1. Tryptophan
2. Tyrosine
3. Methionine
4. Histidine

Correct answer: 2. Tyrosine

Explanation: Tyrosine -------------------->DOPA ---------------->dopamine ----------------->norepinephrine ----------------->epinephrine (catecholamines)Ref: DM Vasudevan - Textbook of Biochemistry, 7th edition, page no: 235